Treatment of opium poisoning includes all except
1. Stomach wash
2. Purgatives
3. Naloxone
4. Digitalis

Correct answer: 4. Digitalis

Explanation: Opium/Afim : * Opium (poppy) is derived from Papaver somniferum. * Toxic part: Unripe fruit capsule, latex juice. * Marquis test: to detect opium * Antidote: Nalaxone sodium * Treatment for morphine withdrawal: Methadone * Along with routine viscera, brain, blood and bile to be preserved.